Which of the following drugs is useful in acute attack of gout?
1. Furosemide
2. Sulfinpyrazone
3. Allopurinol
4. Piroxicam

Correct answer: 4. Piroxicam

Explanation: Ans. (D) Piroxicam(Ref: KDT 8th/e p218)NSAIDs and colchicine are highly effective in acute attack of gout whereas allopurinol and sulfinpyrazone are used for chronic gout. Furosemide causes hyperuricemia and should be avoided in patients with gout.